Intestinal angiodysplasia involves ?
1. AV malformation
2. Cavernous hemangioma
3. Capillary hemangioma
4. Malignant tumor

Correct answer: 1. AV malformation

Explanation: Ans. is 'a' i.e., AV malformation Angiodvsplasia Angiodysplasia is characterized by malformed submucosal blood vessels (AV malformation). Lesions of angiodysplasia are ectatic nest of tortuous veins, venules and capillaries. Most common site is caecum and right colon. Usually occurs after 6th decade of life. Major presentation is bleeding (intestinal bleeding). Pathogenesis of angiodysplasia has been linked to mechanical and congenital factors :? 1. Mechanical factor Normal distension and contraction intermittently occlude submucosal veins and leads to dilatation and tortuosity of overlying vessels. Because cecum has the largest diameter, it develops the greatest wall tension. Therefore cecum is the most common site for angiodysplasia. 2. Genetic (developmental) factor Some data link angiodysplasia with aortic sstenosis and Meckel diverticulum suggesting the possibility of a developmental component.